The most important mechanical property involved when a base metal partial denture clasp is adjusted is:
1. Hardness
2. Elongation
3. Elastic limit
4. Tensile strength

Correct answer: 2. Elongation